Hereditary angioneurotic edema is due to ?
1. Deficiency of C1 inhibitor
2. Deficiency of NADPH oxidase
3. Deficiency of MPO
4. Deficiency of properdin

Correct answer: 1. Deficiency of C1 inhibitor

Explanation: Ans. is 'a' i.e., Deficiency of C1 inhibitor Hereditary angioneurotic edema is due to C1inhibitor (Ci esterase inhibitor) deficiency.